The following drugs can be used for the management of status asthmaticus EXCEPT:
1. Magnesium sulphate
2. Montelukast
3. Corticosteroid
4. Adrenaline

Correct answer: 2. Montelukast

Explanation: Ans. B i.e. Montelukast